Epstein Barr virus is associated with-
1. Carcinoma larynx
2. Carcinoma bladder
3. Carcinoma nasopharynx
4. Carcinoma maxilla

Correct answer: 3. Carcinoma nasopharynx